Which is case based online TB notification system developed by the central TB Division
1. Nischinth
2. Nikshay
3. laksha
4. Yaksma

Correct answer: 2. Nikshay

Explanation: Case Notification can be done online through NIKSHAY, Which is case based online TB notification system developed by the central TB Division. Ref: Pg.no: 318;IAPSM Textbook of Community Medicine.